The following are single gene disorders qexcept-
1. Haemochromatosis
2. Cystic fibrosis
3. William's syndrome
4. Huntington's disease

Correct answer: 3. William's syndrome

Explanation: Ans. is 'c' i.e., William's syndrome